All are TRUE about bulbar urethral rupture, EXCEPT
1. Perineal haematoma
2. Floating prostate on per rectal examination
3. Collection of urine in perineum
4. Bleeding per urethra

Correct answer: 2. Floating prostate on per rectal examination

Explanation: Clinical features seen in rupture of bulbar urethra or anterior urethra - Patient usually presents with a history of fall on the perineum. The triad of signs of a ruptured bulbar urethra is Retention of urine Perineal hematoma Bleeding from the external urinary meatus. Rectal examination in case of bulbar urethral injury reveals a normally situated prostate. (This differentiates it from membranous urethral rupture where prostate is displaced superiorly). Ref : Love & Bailey 25/e p1363